a G3P2L2 with previous 2 LSCS comes to OPD with placenta near os which is a greater risk for this patient
1. abruption
2. vasa praevia
3. adherent placenta
4. preterm birth

Correct answer: 3. adherent placenta

Explanation: The presence of placenta praevia and previous 2 lscs greatly increase the risk of adherent placenta. The other risk factors for adherent placenta are
history of uterine surgery like myomectomy
D&C
endometrial ablation
history of pelvic irradiation
age more than 35
infertility
hysteroscopic removal of adhesions